Pralidoxime is ineffective in case of which poisoning:
1. Organophosphorous
2. Carbaryl
3. Both of the above
4. None of the above

Correct answer: 2. Carbaryl

Explanation: Carbaryl